"Potter's syndrome" is associated with:
1. Renal anomalies
2. Severe oligohydramnios
3. Flattened nose
4. All the above

Correct answer: 4. All the above

Explanation: d. All the above(Ref: Nelson's 20/e p 2554-2555)Potter Syndrome:Bilateral renal agenesis and Pulmonary hypoplasia are seenPotter facies: widely separated eyes with epicanthic folds, low set ears, broad compressed flat nose, receding chinThis condition is incompatible with life, death occurs shortly after birth from pulmonary hypoplasiaMaternal USG demonstrates, Oligohydramnios, Non-visualization of bladder, Absent fetal kidney